Which one of the following metabolites is used by all cells for glycolysis, glycogen synthesis, and the hexose monophosphate shunt pathway?
1. Glucose-1-phosphate
2. Glucose-6-phosphate
3. UDP-glucose
4. Fructose-6-phosphate

Correct answer: 2. Glucose-6-phosphate

Explanation: Glucose-6-phosphate is common to all pathways. It can be converted to glucose-1-phosphate for glycogen synthesis or go directly into the pentose phosphate pathway or proceed through fructose-6-phosphate in glycolysis. UDP-glucose is formed from glucose-1-phosphate and can be used to form glycogen, lactose, glycoproteins, and glycolipids.